Serum ACE levels are reduced in
1. Sarcoidosis
2. COPD
3. DM
4. Hisoplasmosis

Correct answer: 2. COPD

Explanation: (B) COPD# Elevated levels of ACE are found in sarcoidosis, and are used in diagnosing and monitoring this disease.> Elevated levels of ACE are also found in leprosy, hyperthyroidism, acute hepatitis, primary biliary cirrhosis, diabetes mellitus, multiple myeloma, osteoarthritis, amyloidosis, Gaucher disease, pneumoconiosis, histoplasmosis, miliary tuberculosis.> Serum levels are decreased in renal disease, obstructive pulmonary disease, and hypothyroidism.